Which of the following antineoplastic drug is used to prevent synechiae formation after endoscopic nasal procedures
1. Actinomycin
2. Mitomycin
3. Epirubicin
4. Pentostatin

Correct answer: 2. Mitomycin

Explanation: Topical Mitomycin - C is used to prevent synechiae formation after endoscopic nasal procedures.
It is an antitumor antibiotic which acts by inhibiting Topoisomerase - II. It is used topically to avoid systemic side effects.
Mitomycin is used for anal carcinoma, bladder carcinoma and laryngotracheal stenosis.